Thoracic duct can be identified by
1. Bear's triangle
2. Poirier's triangle
3. Petit's triangle
4. Koch's triangle

Correct answer: 2. Poirier's triangle

Explanation: Thoracic duct is identified within Poirier's triangle which is formed by arch of aorta, left subclavian artery & vertebral column.